All are true regarding GnRh analogues except
1. Drug of choice for precocious puberty
2. Side effect is Osteoporosis
3. Can be used for Controlled Ovarian Hyperstimulation for IVF
4. First line management of menorraghia

Correct answer: 4. First line management of menorraghia

Explanation: GnRH Pulsatile GnRH analogues used for delayed puberty Continuous administration is DOC for precocious puberty GnRH analogues may be used for Controlled Ovarian Hyperstimulation in IVF cycles. When used in pulsatile manner, it causes oocyte recruitement. When used in continuous manner, causes controlled hyperstimulation by pituitary suppression. Side effects: Hyperstimulation syndrome Multiple pregnancy is the same as in the general population Abortion rate may be slightly increased Hypoestrogenic state Menopausal symptoms Osteoporosis ( prolonged use more than 6 months ) First line management of Menorrhagia - NSAIDs & Tranexamic acid